Confabulation is seen in case of chronic poisoning with
1. Cannabis
2. Alcohol
3. Heroin
4. Carbolic acid

Correct answer: 2. Alcohol

Explanation: The Wernicke-korsakoff syndrome occurs due to thiamine deficiency which can be a result of chronic alcohol addiction. In the acute form, drowsiness, disorientation, ataxia, amnesia and peripheral neuropathy are seen. Horizontal nystagmus and external ocular palsies may be seen. Korsakoff psychosis characterized by impairment of memory and confabulationConfabulation is the unconscious filling of gaps in memory by imagining experiences or events that have no basis in fact.Krishan Vij textbook of forensic medicine and toxicology 5e pg:407